Teichoic acid is present in
1. Cell wall of Gram positive organisms
2. Cell wall of Gram negative organisms
3. Cytoplasm of Gram positive organisms
4. Cytoplasm of Gram negative organisms

Correct answer: 1. Cell wall of Gram positive organisms